True regarding Delirium are all except:
1. Acute onset
2. Sleep disturbance
3. Myoclonus
4. Normal consciousness

Correct answer: 4. Normal consciousness

Explanation: Ref: A Short Textbook of Psychiatry by Niraj Ahuja, 6th editionExplanation:Clouding of consciousness is a characteristic ofDeliriumDELIRIUMMost Common organic disorder seen in clinical practice* Delirium is characterized by the followingAcute onsetClouding of consciousnessDisorientationDecreased attention spanDistractibilityMarked perceptual disturbancesInsomnia at night with daytime drowsinessWorsening of symptoms in evening and night (Sun downing)Impairment of registration and retention of new memoriesPsychomotor disturbances - agitation &. retardationAutonomic dysfunctionSpeech disturbances - slurring of speech, incoherence, dysarthriaFleeting delusionsMotor symptoms - asterixis, mutifocal myoclonus, carphologia, floccillation (Picking movements at coversheets & clothes).Occupational delirium (elaborate panto- mimes as if continuing the usual occupation in a hospital bed )